Cat scratch disease is caused by -
1. Streptobacillus moniliformis
2. Spirillum minus
3. B. Henselae
4. R. tsutsugamushi

Correct answer: 3. B. Henselae